True about lecithin - sphingomyelin ratio is
1. Concentration of Lecithin and sphingomyelin before 34 weeks in amniotic fluid is equal
2. Concentration of Lecithin is more than sphingomyelin in amniotic fluid before 34 weeks.
3. After 32 to 34 weeks, concentration of sphingomyelin relative to Lecithin begins to rise
4. There is increased risk of Respiratory distress syndrome if L/S ratio is > 2

Correct answer: 1. Concentration of Lecithin and sphingomyelin before 34 weeks in amniotic fluid is equal

Explanation: Concentration of lecithin relative to sphingomyelin begins to rise at 32 - 34 weeks. L / S ratio < 2 suggests high risk of RDS.